Which of the following drugs has maximum chances of absorption from gastric mucosa ?
1. Morphine sulfate
2. Diclofenac sodium
3. Hyoscine hydrobromide
4. Quinine dihydrochloride

Correct answer: 2. Diclofenac sodium

Explanation: - Among the given options, only diclofenac sodium is acidic and remains unionized in the acidic medium of the stomach. Other drugs are basic in nature. So diclofenac has higher chances of getting absorbed from gastric mucosa.